Workshop is -
1. Discussion of 4-8 experts in front of audience
2. Discussion between 6-12 members
3. Series of four or more meetings
4. Series of speeches on given subject

Correct answer: 3. Series of four or more meetings

Explanation: Ans. is 'c' i.e., Series of four or more meetings Group approach in health communication1) Chalk and Talk (Lecture)o It is a carefully prepared oral presentation of facts organized thoughts and ideas by a qualified person. The chalk lends the visual component.o The group should not be more than 30 and the talk should not exceed 15-20 minute.2) Group discussiono A group is an aggregation of people interracting in a face to face situationo A group should not comprise less than 6 and not more than 12 members.3) Panel discussiono It is a two way communication.o 4 - 8 persons who are qualified to talk about a topic and discuss a given problem in front of a large group or audience.o The panel comprises a chairman.o The chairman opens the meeting, welcomes the group and introduces the panel speakerso He indroduces topic briefly and invite the panel speakers to present their point of viewo After the main aspects of subject are explored by panel speakers, the audience is invited to take parto If members of the panel are unacquainted with this method, they may have a preliminary meeting, prepare the material on the subject and decide upon the method and plan of presentation.4) Symposiumo A symposium is a series of speeches on a selected subject. There is no discussion among the symposium members like in panel discussion.5) Workshopo It consists of a series of meeting usually four or more, with emphasis on individual work, within the group, with the help of consultants and resource personnel. The total workshop may be divided into small groups and each group will solve and discuss a problem with the help of consultants.6) Role playingo Role Playing is a socio-drama based on assumptions that many values in a situation cannot be expressed in words and the communication can be more effective if the situation is dramatised by the group.7) Demonstrationo A demonstration is a carefully prepared presentation to show how to perform a skill or procedureo Demonstration as a means of communication has been found to have a high educational value in programmes like-i) Environmental sanitation - installation of a hand pump, construction of a sanitary latrine.ii) Mother and child health - demonstration of oral rehydration technique.iii) Control of disease, e.g. scabies.8) Conferences and seminarso These are held usually on a regional, state or national level, and contain a large component of commercialized continuing education. Usual period extends from Vi day to 1 week.